In which of the following, vegetation is friable and easily detachable from the cardiac valves -
1. Rheumatic fever
2. Rheumatoid heart
3. SLE
4. Infective endocarditis

Correct answer: 4. Infective endocarditis